Belief is
1. Temporary
2. Provisional
3. Permanent
4. Objective in nature

Correct answer: 3. Permanent